Stocker's line is seen in?
1. Pterygium
2. Glaucoma
3. Posterior scleritis
4. Diabetic retinopathy

Correct answer: 1. Pterygium

Explanation: Ans. is 'a' i.e., Pterygium is line of iron deposition in the corneal epithelium seen adjacent to the head of the pterygium.